Diverticulosis is most common in
1. Sigmoid colon
2. Ascending colon
3. Descending colon
4. Transverse colon

Correct answer: 1. Sigmoid colon

Explanation: Ans) a (Sigmoid colon) Ref: Sabiston's 18th editionA diverticulum is an abnormal sac or pouch protruding from the wall of a hollow organ, which is, for the purposes of this discussion, the colon. A due diverticulum is composed of all layers of the intestinal wall, whereas a false diverticulum, or pseudodiverticulum, lacks a portion of the normal bowel wall. The diverticula that commonly occur in the human colon are pseudodiverticula.Diverticula most commonly affect the sigmoid colon and are confined to the sigmoid in about half of patients with diverticulosis. The next most common area involved is the descending colon (?40% of affected individuals), and the entire colon has diverticula in 5% to 10% of patients with diverticulosis.